Disease of sweat gland ?
1. Fordyce's spot
2. Acne vulgaris
3. Fox-Fordyce's disease
4. None

Correct answer: 3. Fox-Fordyce's disease

Explanation: Ans. is 'c' i.e., Fox-Fordyce's disease